Best for incineration of infectious waste –
1. Double – chamber
2. Single – chamber
3. Triple – chamber
4. None

Correct answer: 1. Double – chamber

Explanation: Three basic kinds of incineration technology are of interest for treatment of health care wastes :


Double-chamber pyrolytic incinerators which may be especially designed to burn infectious health care waste.
Single-chamber furnaces with static grate, which should be used only if pyrolytic incinerators are not affordable.
Rotary kilns operating at high temperatures, capable of causing decomposition of genotoxic substances and heat-resistant chemicals.